The clot formed after coagulation cascade is not stable unless extensive cross linking occurs. This is done by -
1. Plasmin
2. Factor XIII
3. Thrombin
4. High molecular weight kininogen

Correct answer: 2. Factor XIII

Explanation: . Factor XIII